Best marker for drug induced lupus is
1. Anti histone antibodies
2. Anti ds DNA
3. ANA
4. Anti smith Ab

Correct answer: 1. Anti histone antibodies

Explanation: Ref image - Harrison's internal medicine 20e p2517